EEG in anesthesia is useful in:
1. Depth of general anesthesia
2. Depth of local anesthesia
3. Depth of neuromuscular block
4. Depth of analgesia

Correct answer: 1. Depth of general anesthesia

Explanation: Ans. a. Depth of general anesthesia (Ref: Morgan 4/144-146; Lee's 12/e p146, 286, 447)EEG in anesthesia is useful in monitoring the depth of anesthesia (GA) with 16-lead.Uses of EEG in anesthesiaTo assess the sedation and awarenessQTo monitor epileptic activityQ, and to control antiepileptic drugs infusion, especially in paralyzed patientsTo monitor the changes in conscious levelsQDuring cerebrovascular surgery, to confirm the adequacy of cerebral oxygenationQMonitoring the depth of anesthesiaQ (GA) with 16-leadHave look on some new and important techniques.Bispectral Index Scale (BIS)It is based on the principle of EEGQIt uses 3 EEG electrodes placed on frontal, parietal and temporal lobesQBIS is used to monitor:Intraoperative awarenessQDepth of anesthesiaQIts value ranges from 0-100 (0: coma: 100: awake)Target intra-operative BIS: 40-60QTarget sedation BIS: 60-80QEntropyIt is based on the principle of EEG and EMGQ